Black eye is a type of-
1. Patterend abrasion
2. Ectopic abrasion
3. Ectopic bruise
4. Friction abrasion

Correct answer: 3. Ectopic bruise

Explanation: Ans. is 'c' i.e., Ectopic bruise [Ref: Reddy 30th/ep. 167-168\o Site of bruise is at the site of impact most of the time however it may be away from the site of impact due to gravity shifting of blood, i.e., ectopic bruise. So, site of bruise does not always indicate site of violencet.o Example of ectopic bruise are : -Black eye (or spectacle hematoma in eyes & eyelids) may be due to fracture of floor of anterior cranial fossa or trauma of forehead (and rarely due to direct trauma),Bruise behind ear indicates basal fracture (rather than a direct blow).Jaw fracture may produce bruise in neck; fracture pelvis my produce bruise in thigh; fracture femur may produce bruise in lowrer thigh or above knee; Calf injury may produce bruise in ankle.